Statins inhibit which of the following enzyme -
1. HMG CoA reductase
2. HMG CoA synthetase
3. HMG CoA oxidase
4. Acetyl CoA synthetase

Correct answer: 1. HMG CoA reductase

Explanation: Ans. is 'a' i.e., HMG CoA reductase * Statins (Lovastatin) competitively inhibit the conversion of HMG-CoA to mevalonate (rate limiting step in cholesterol synthesis) by inhibiting the enzyme HMG-CoA reductase.